In the following arrangement, if  the rest is placed on a cantilever pontic , the cantilever can act as a
1. First class lever
2. Second class lever
3. Third class lever
4. None of the above

Correct answer: 1. First class lever

Explanation: A cantilever can be described as a rigid beam supported only at one end. When force is directed against the unsupported end of the beam (as in this rest placed on a cantilevered pontic), the cantilever can act as a first-class lever. The mechanical advantage in this illustration favors the effort arm.